In a patient with chronic atrial fibrillation with a regular beat of 60/min , the most probable cause is -
1. Sleep
2. Digitalis toxicity
3. Sino nodal block
4. Hypothyroidism

Correct answer: 2. Digitalis toxicity